Strain used for BCG vaccine -
1. Edmonston Zagreb strain
2. Oka strain
3. 'Danish' 1331
4. RA 27/3strain

Correct answer: 3. 'Danish' 1331

Explanation: Ans. is 'c' i.e., Danish 1331